The diagnostic feature of congenital diaphragmatic hernia on prenatal ultrasonography is -
1. A cyst behind the left atrium
2. Mediastinal shift with normal heart axis
3. Peristalsis in the thoracic cavity
4. Absence of gas bubble under the diaphragm

Correct answer: 3. Peristalsis in the thoracic cavity

Explanation: Ans. is 'c' ie. Peristalsis in the thoracic cavity " The sonographic diagnosis of fetal CDH relies on the visualisation of abdominal organs in the chest. Other pointers may be absence of a normally positioned stomach, mediastinal displacement, small abdominal circumference and polyhydramnois."